All of the following are examples of definite airways, except:
1. Nasotracheal tube
2. Orotracheal tube
3. Laryngeal Mask airway
4. Cricothyroidotomy

Correct answer: 3. Laryngeal Mask airway

Explanation: C i.e. Laryngeal Mask airway Airways Definitive- Airway Tracheal tubes (endotracheal tubes)ie Oral (oro-tracheal) tubesQ - Nasal (naso-tracheal) tubesQ - Tracheostomy tubesQ - Cuffed murphy tracheat tubes, Cole uncuffed pediatric TT, Spiral embedded tubes, Hunsaker Mon-Jet ventilation tube, laryngectomy tube, microlaryngeal tracheal surgery tube, endotrol (trigger) tube, endoflex tube, Parker flex tip tube, LITA (laryngotracheal instillation of topical anesthesia) etc. Percutaneous (transcutaneous) airway - Tracheostomy - CricothyrotomyQ (surgical, needle/cannula, Seldinger). Perilaryngeal airway is used for percutaneous dilatation cricothyroidotomy in difficult to intubate/difficult to ventilate scenario. Non-definitive Airways Oropharyngeal (oral) airway eg. Gudel airway, Berman airway, Patil-Syracus endoscopic airway, William airway intubator, Ovassapian fiber optic intubating airway and Berman intubating/pharyngeal airway. - Nasopharyngeal (nasal) airway or nasal trumpet eg Linder nasopharyngeal (bubble tip) airway, cuffed nasopharyngeal airway and binasal airway - Laryngeal mask airway (LMA) is a supraglotlic airway device-periglottic type that forms a seal around larynx with an inflatable cuff.